What is the extent of spinal cord in an adult?
1. Lower border of L1
2. Tip of Coccyx
3. Upper border of L3
4. S2

Correct answer: 1. Lower border of L1

Explanation: Ans. is 'a' i.e., Lower border of LI * Spinal cord begins at foramen magnum and, in adults, ends at lower border of LI.StructureExtends uptoAdult spinal cordInfant spinal cordLower border of L} or upper border of L2Upper border of L3 vertebraeFilum terminalePiamaterTip of coccyxDural sheathSubdural spaceSub arachnoid spaceS2 vertebra